In ulcerative colitis, Ca arises from -
1. Pseudopolyps
2. Dysplastic sites
3. Familial polyposis
4. Multiple adenomatous polyp

Correct answer: 2. Dysplastic sites